Oblique and horizontal fracture of nasal septum is called as -
1. Jarjavay and chevallete fracture
2. Arnold fracture
3. Citteli fracture
4. Thudicum fracture

Correct answer: 1. Jarjavay and chevallete fracture